Water is used for hardening in
1. Sodalime
2. Baralime
3. Both
4. None

Correct answer: 2. Baralime

Explanation: B i.e. Baralime